What is meant by "Suppositions child"-
1. Child born out of wedlock
2. Child fictitiousy claimed by a woman
3. Second born of a twin pregnancy
4. Child is born after artificial insemination homologous

Correct answer: 2. Child fictitiousy claimed by a woman

Explanation: Ref:Synopsis of Forensic medicine and toxicology (K.S.Narayan Reddy) 28th edition, page no.209 Suppositius children:It means fictitious children. A woman may pretend pregnancy and delivery and later produce a child for as her own, or she may substitute a male child for a female child born of her, or for an abortion. this is done for extorting money or for the purpose of caliming property. In such cases, the woman should be examined sign of pregnancy and delivery. The medical evidance is useful only when the age of the suppositius child does not correspond to the date of the pretended delivery. DNA fingerprinting will be conclusive.